Taxonomically chamydia is a
1. Bacteria
2. Virus
3. Fungus
4. Nematode

Correct answer: 1. Bacteria